Which of the following drugs can produce dramatic improvement in patients with Type II lepra reaction?
1. Thalidomide
2. Steroids
3. Dapsone
4. Clofazamine

Correct answer: 1. Thalidomide

Explanation: Ans. a (Thalidomide). (Ref. Harrison, Internal Medicine, 15th ed., 1038)Treatment of Type I Lepra reactionTreatment of Type II Lepra reaction# Best with corticosteroids.# Thalidomide ineffective in Typel reaction and clofazimine questionable.# In mild reaction give antipyretics# Then glucocorticoids# Thalidomide causes dramatic improvement probably attributable to its reduction of TNF levels and IgM synthesis and slowing of PMN migration.